Highest maternal mortality is seen in following congenital heart disease:
1. Eisenmenger's syndrome
2. Pulmonary stenosis
3. Coarctation of aorta
4. VSD

Correct answer: 1. Eisenmenger's syndrome

Explanation: Eisenmenger's syndrome is the reversal of a left to right shunt (ASD, VSD, PDA) due to progressive pulmonary hypertension. Right to left shunting leads to systemic arterial oxygen desaturation and central cyanosis. The degree of cyanosis is determined by the extent of pulmonary vascular obstructive disease. Maternal mortality approaches 30-50% and fetal loss may be as high as 75%. It is one of the few conditions in which pregnancy is contraindicated. Maternal mortality rates average 3 percent in coarctation of aorta. Maternal mortality increases in VSD when there is reversal or bidirectional flow--Eisenmenger syndrome. Maternal mortality rates approach 10 percent in pulmonic stenosis. Ref: Hameed A.B., Montoro M.N. (2013). Chapter 27. Cardiac & Pulmonary Disorders in Pregnancy. In A.H. DeCherney, L. Nathan, N. Laufer, A.S. Roman (Eds), CURRENT Diagnosis & Treatment: Obstetrics & Gynecology, 11e.